All of the following are characteristics of complex febrile seizures EXCEPT?
1. Focal seizures
2. Recurrent seizures within the same febrile illness
3. Generalised seizures
4. Duration > 15 minutes

Correct answer: 3. Generalised seizures

Explanation: Types of febrile seizures: